Commonest cause of primary amenorrhea:
1. Gonadal dysgenesis
2. Mullerian agenesis
3. Androgen insensitivity syndrome
4. Stein Levinthal syndrome

Correct answer: 1. Gonadal dysgenesis

Explanation: Ans. A. Gonadal dysgenesis.Gonadal dysgenesis does not equate with turner's syndrome. There are many causes of gonadal dysgenesis in the female, most of which relate to abnormalities involving X chromosome e.g. Turner syndrome, turner mosaic, 46XY gonadal dysgenesis. 25% of girls with gonadal dysgenesis have 46XX karyotype. Turner syndrome is the most common form of gonadal dysgenesis